The most common histological type seen in branchogenic carcinoma is
1. Small cell carcinoma
2. Large cell carcinoma
3. Squamous cell carcinoma
4. Adenocarcinoma

Correct answer: 4. Adenocarcinoma

Explanation: .Adenocarcinoma is now the most common of the NSCLC types, having overtaken squamous cancer.The increasing incidence is partly due to an increasing incidence in women and may be the result, in part, of a move towards lower-tar cigarettes that are inhaled more deeply to get the same effect. Reference:Bailey & Love's short practise of surgery,25th edition,page no:884